Diseases under International surveillance
1. Poliomyelitis
2. Rabies
3. Malaria
4. All of the above

Correct answer: 4. All of the above

Explanation: Diseases under International surveillance 

Rabies
Malaria
Relapsing fever
Human Influenza
Salmonellosis
Typhus fever (Louse borne)
Poliomyelitis